A 25 year old woman complains of intense depressed mood for 6 months with inability to enjoy previously pleasurable activities. This symptom is known as:
1. Anhedonia
2. Avolition
3. Apathy
4. Amotivation

Correct answer: 1. Anhedonia

Explanation: A i.e. Anhedonia Anhedonia*ApathyAmotivation- Absence of pleasure inacts that are normally- Want of feeling; absence of affect. It refers toabsence of feeling from psychical, not from somatic- Passivity, loss of drive,lack of interest &pleasurableQ.or physical point of view.difficulties in attention &- In behavioural terms, it is- A pervasive lack of interest & drive (k/a anergia).concentration.a state in which thereward value of usuallyThe patient has little or no enthusiasm for work,social interaction or recreation. Anergia is- Effect of long termmarijuana.reinforcing stimuli isblocked.associated with decrease in sexual activity.